The Transorbital view is carried out for
1. Petrous apex
2. Mastoid process
3. Bilateral mastoid pathology
4. Internal auditory meatus

Correct answer: 4. Internal auditory meatus

Explanation: Transorbital view: This view is taken with occiput on the film with an orbitomeatal line at right angles to the film. X-ray beam passes through the orbit. Structures seen are:(a) Internal auditory canal.(b) Cochlea.(c) Labyrinth.(d) Entire petrous pyramid projected through the orbit. Ref: Textbook of ENT, Dhingra; 6th edition Ref img Transorbital X-ray of patient 1 after the partial explantation of the cochlear implant due to the recurrence of FIPT. The intracochlear part of the electrode is still in situ.